Pancytopemia is caused by -
1. Aplastic anemia
2. MDS
3. Megaloblastic anaemia
4. All

Correct answer: 4. All

Explanation: Ans. is 'a' i.e., Aplastic anaemia; 'b' i.e., MDS; 'c' i.e., Megaloblastic anaemia